Adverse effects that limit the use of adrenoceptor blockers include:
1. Bronchoconstriction from α blocking agents
2. Heart failure exacerbation from β blockers
3. Impaired blood sugar response with α blockers
4. Increased intraocular pressure with β blockers

Correct answer: 2. Heart failure exacerbation from β blockers